In this curve, maxilla follow which tissue closely?
1. Lymphoid
2. Neural
3. General
4. Genital

Correct answer: 2. Neural

Explanation: The growth of the jaws is intermediate between the neural and general body curves, with the mandible following the general body curve more closely than the maxilla (which follows the neural growth more closely). The acceleration in general body growth at puberty, which aﬀects the jaws, parallels the dramatic increase in development of the sexual organs.